Most common seizure seen in metabolic derangements?
1. Tonic-clonic seizures
2. Simple partial seizures
3. Complex partial seizures
4. Absence seizures

Correct answer: 1. Tonic-clonic seizures

Explanation: Generalized-onset tonic-clonic seizures are the main seizure type in ~10% of all persons with epilepsy.They are also the most common seizure type resulting from metabolic derangements and are therefore frequently encountered in many.Ref: Harrison 19e 2543